All form the posterior wall of axilla EXCEPT:
1. Subscapularis
2. Subclavius
3. Teres major
4. Latissimus dorsi

Correct answer: 2. Subclavius

Explanation: Subclavius forms the anterior wall of axilla